The Conversion of CO2 and H20 into Carbonic acid during the formation of Aqueous humour is catalysed by which one of the following enzymes
1. Carboxylase
2. Carbamylase
3. Carbonic anhydrase
4. Carbonic deoxygenase

Correct answer: 3. Carbonic anhydrase

Explanation: C i.e. Carbonic anhydrase Carbonic anhydrase is related to aqueous humor production that's why carbonic anhydrase inhibitors lower intra ocular pressure Q.